In a patient with gouty arthritis,synovial fluid aspiration was done,strongly negative birefringent needle shaped crystals were seen under polarized light .These crystals are composed of which of the following ?
1. Monosodium urate
2. Calcium pyrophosphate
3. Sodium pyrophosphate
4. Homogentisic acid

Correct answer: 1. Monosodium urate

Explanation: Crystals of monosodium urate are needle-shaped, 5-25 mm in length, and strongly negatively bifringent under polarized light. Crystallization of monosodium urate in synovial fluid and tissues results in a dramatic inflammatory response characterized by erythema, edema, and intense pain. Double contour cartilage line on USG is seen